Sulphur granules in actinomycosis consist of ?
1. Monophils + neutrophils
2. Monophils + lymphocytes
3. Eosinophils
4. Bacterial particles

Correct answer: 4. Bacterial particles